Ergometrine is commonly used for :
1. PostPartum Hemorrhage
2. To shorten  2nd stage of labour
3. Dysmenorrhea
4. Toxemia of pregnancy

Correct answer: 1. PostPartum Hemorrhage

Explanation: Obstetric indications of ergometrine (Ergonovine):

To control and prevent Postpartum hemorrhage. It is given at the time of delivery of the anterior shoulder.
After Caesarean Section/instrumental delivery - to prevent uterine atony.
To ensure normal involution in multipara.